The drug of choice in Herpes Simplex Encephalitis is-
1. Acyclovir
2. Zidovudine
3. Amantadine
4. Vidarabine

Correct answer: 1. Acyclovir